Trendelburg test would be positive in the following conditions-
1. L4-L5 PID
2. L5-S1 PID
3. Synovitis of the Hip
4. Femoroacetabular Impingement Syndrome

Correct answer: 1. L4-L5 PID

Explanation: *L4 L5 PID would compromise the L5 nerve root. The myotome supplying the abductors of the hip is L5 *Gluteus medius and gluteus minimus is supplied by superior gluteal nerve (L4 L5 S1) *Thus due to weakness of abductor mechanism The trendelenburg test would be positive. REF:Ref: Maheshwari 9th/e p.340